Skip lesions with tuberculoid granulomas is
1. Hodgkins lymphoma
2. Sarcoidosis
3. Crohns disease
4. Ulcerative colitis

Correct answer: 3. Crohns disease

Explanation: Ans. is 'c' i.e., Crohn's disease